Causative agent of Infectious mononucleosis
1. HIV
2. Hepatitis B
3. Herper Simplex
4. Epstein - Barr virus

Correct answer: 4. Epstein - Barr virus

Explanation: Solution

Epstein - Barr virus (EBV) causes infectious mononucleosis
EBV nfect B lymphocytes by binding to CD21 (CR2) receptor